A female with a family history of a genetic disorder became pregnant. Transabdominal chorionic villus sampling (CVS) can be done in:
1. 7-9 weeks
2. 10 weeks to term
3. 9-11 weeks
4. 13-15 weeks

Correct answer: 2. 10 weeks to term

Explanation: Chorionic villus sampling (CVS) is the second most common procedure for genetic prenatal diagnosis. This procedure is routinely performed transcervically at about 10-12 weeks of gestation and transabdominally from 10 weeks to term. Limb reduction defects are high when CVS was performed at less than 10 weeks of gestation. Ref: Textbook of Obstetrics by DC Dutta, 6th edition, Page 108.